Shortest diameter of true pelvis amongst the following is:
1. True conjugate
2. Diagonal conjugate
3. Interspinous diameter
4. Intertuberous diameter

Correct answer: 3. Interspinous diameter

Explanation: Ans. C: Interspinous Diameter True conjugate-between the midpoint of the sacral promontory to the inner margin of the upper border of symphysis pubis-11 cm Diagonal conjugate-between the lower border of symphysis pubis to the midpoint on the sacral promontory-12 cm Interspinous (Bispinous) diameter-between the tip of two ischial spines-10.5 cm lntertuberous diameter-between inner borders of ischial tuberosities-11 cm